Best candidate for allogenic bone marrow transplant:
1. 6-year-old with thalassemia minor
2. Autoimmune diseases
3. Multiple myeloma
4. Hereditary ommunodeficiency

Correct answer: 4. Hereditary ommunodeficiency

Explanation: D i.e. Hereditary immunodeficiencyWintrobe, Hematology, 13th editionExplanation:Hereditary immunodeficiency - SCID, is one of the most common indication for Allogenic BMT.Below are the indications for Autologous and Allogenic BMT Autologous Transplantation*Allogenic Transplantation!MalignanciesMultiple myelomaNon-Hodgkin lymphoma Hodgkin diseaseAcute myeloid leukemiaNeuroblastomaOvarian cancerGerm-cell tumorsAcute myeloid leukemiaAcute lymphoblastic leukemiaChronic myeloid leukemiaMyelodysplastic syndromesMyeloproliferative neoplasmsNon-Hodgkin lymphomaHodgkin diseaseMultiple myelomaJuvenile chronic myeloid leukemiaNon-malignantdisordersAutoimmune diseaseAmyloidosisAplastic anemiaParoxysmal nocturnal hemoglobinuriaFanconl's anemiaDiamond-Blackfan anemiaThalassemia majorSickle cell anemiaSevere combined immunodeficiencyWiskott-Aldrich syndromeInborn errors of metabolismCongenital neutropenia syndromes* More than 30,000 autologous transplantations are performed annually worldwide, two-thirds for multiple myeloma or non-Hodgkin lymphoma,| More than 24,000 allogeneic transplantations are performed annually worldwide, more than half for acute leukemias.